Wells' disease is caused by ?
1. Leptospira
2. Listeria
3. Mycoplasma
4. Legionella

Correct answer: 1. Leptospira

Explanation: Ans. is 'a' i.e., Leptospira Leptospirosis and Weil's disease . Incubation period --> I- 2 weeks. Leptospirosis may present as one of the two clinical types : - Anicteric Laboratory findings . T ESR . Leukocytosis . Mild thrombocytopenia . T Serum bilirubin and alkaline phosphatase . Increased prothrombin time . BUN and creatinine may be raised. Remember . Vasculitis is responsible for the most important manifestations of the disease, mainly affect the kidney and liver. . When antibodies are formed, leptospires are eliminated from all sites in the host except the eye, the proximal renal tubules and the brain. . The most important pathogenic properties of leptospires are adhesion to cell surfaces and cellular toxicity.